A two year old child presents with persistent diarrhoea acidic stools and presence of one percent of reducing substance in the fresh stools. What is the most probable diagnosis ?
1. Cystic fibrosis
2. Lactose intolerance
3. Rotavirus induced diarrhoea
4. Intestinal tuberculosis

Correct answer: 2. Lactose intolerance